All of the following are true about Drug induced Lupus; Except:
1. Anti histone antibody
2. Rare anti ds DNA
3. Renal involvement
4. Serositis

Correct answer: 3. Renal involvement

Explanation: Answer is C (Renal involvement): Renal involvement is rare in Drug induced Lupus Drug induced lupus is associated with Antihistone antibodies, rare anti ds DNA and serositis. Drug induced Lupus: Features Syndrome of Positive ANA with symptoms such as fever, malaise, arthritis, intense arthralgia/myalgia, serositis and / or rash (ANA usually appears before symptoms) Predominant in Caucasians Less female predilection than SLE Commonly associated with Anti-Histone Rarely associated with Anti- ds DNA Rarely involves kidney or brain Syndrome usually appears during therapy with certain medications and biologic agents Syndrome usually resolves over several weeks after discontinuation of the offending medication.